Nerve which hooks around wharton's duct is:
1. Mylohyoid nerve
2. Lingual nerve
3. Auriculotemporal nerve
4. Inferior alveolar nerve

Correct answer: 2. Lingual nerve